Which of the following is a subcutaneous muscle?
1. Sternocleidomastoid
2. Mylohyoid
3. Palmaris longus
4. Palmaris brevis

Correct answer: 4. Palmaris brevis

Explanation: Palmaris brevisREF: Gray's anatomy 39th edition p. 919Subcutaneous muscles of body are:1. Platysma 2. Palmaris brevis 3. Dartos muscle 4. Facial muscles